Secretory sinus in neck, moving upon deglutination:
1. Branchial sinus
2. Pilonidal cyst
3. Thyroglossal fistula
4. Sublingual dermoid cyst

Correct answer: 3. Thyroglossal fistula

Explanation: Ans. (c) Thyroglossal fistulaRef: Dhingra's ENT 5th ed. / 398* Sublingual dermoid cyst present as midline submental swelling. This cyst is not attached to foramen cecum and hence doesn't move upon tongue protrusion or upon deglutition.* The thyroglossal cyst classically moves upwards with swallowing and notably with tongue protrusion, as it is attached to foramen cecum. It merely indicates attachment to the hyoid bone.